2nd heart sound is characterized by all except
1. Due to closure of semilunar valves
2. Is occasionally split
3. Has longer duration than 1st heart sound
4. Marks the onset of diastole

Correct answer: 3. Has longer duration than 1st heart sound